The effects associated with cold working can be eliminated by a heat treatment called
1. Age hardening heat treatment
2. Annealing heat treatment
3. Homogenization heat treatment
4. Solution heat treatment

Correct answer: 2. Annealing heat treatment